Extremely Iow birth weight baby-
1. <2.5 kg
2. < 2 kg
3. < 1.5 kg
4. < 1 kg

Correct answer: 4. < 1 kg

Explanation: Ans. is `d' i.e., < 1 kg o Low birth weight newborn Any neonate weighing less than 2500 gm at birth irrespective of the gestational age. o Very low birth weight newborn Any neonate weighing less than 1500 gm at birth irrespective of the gestational age. o Extremely low birth weight newborn Any neonate weighing less than 1000 gm at birth irrespective of the gestational age.